Intra cavitary Radiotherapy is used for the treatment of
1. CA stomach
2. CA Cervix
3. CA Oesophagus
4. CA Renal cell

Correct answer: 2. CA Cervix

Explanation: Ans. is 'b' i.e.Ca Cervix Intracavitary radiotherapy is a form of brachytherapy in which radiation source is placed inside the body cavity e.g. Vagina, cervical canal or uterine cavity.